Most cardiotoxic anticancer drug -
1. Anthracycline
2. Alkylating agent
3. Platinum compound
4. Bisphosphonates

Correct answer: 1. Anthracycline

Explanation: Ans. is 'a' i.e., Anthracycline o The major toxicity of anthracyclines is potentially irreversible cumulative dose related toxicityo They may causes arrhythmias and cardiomyopathy. Because of their carditoxicity these drugs should be avoided in the patient mentioned in the question.